Incubation period of Hepatitis A
1. 15-50 days
2. 50-160 days
3. 2-3 weeks
4. None of the above

Correct answer: 1. 15-50 days